Romana's sign is seen is
1. T. Brucei Gambiense
2. T. Brucei Rhodesiense
3. T. Cruzi
4. None of the above

Correct answer: 3. T. Cruzi

Explanation: Romana's sign - Periorbital edema seen in Trypanosoma Cruzi.